All of the following are used in the initial management of acute life threatening cardiognenic pulmonary edema, except -
1. Digoxin
2. Morphine
3. Furosemide
4. Positive Pressure Ventilation

Correct answer: 1. Digoxin